Sources of the nitrogen in urea cycle are
1. Aspartate and ammonia
2. Glutamate and ammonia
3. Arginine and ammonia
4. Uric acid

Correct answer: 1. Aspartate and ammonia

Explanation: Sources of Nitrogen in urea are ammonia and aspartate.